Color of oxygen cyclinder is?
1. Black body with white shoulder
2. Black body with grey shoulder
3. Grey body with white shoulder
4. Grey body with black shoulder

Correct answer: 1. Black body with white shoulder

Explanation: Ans. (A) Black body with white shoulder(Ref: Anesthetic Equipments & Procedures, Practical Approach/p37, 38;)The color of a medical oxygen cylinder is a black body with a white shoulder.Medical GasColourOxygenBlack body with white shoulderCarbon dioxideGreyNitrous oxideBlueCyclopropaneOrangeHeliumBrownEntonoxBlue body with white shoulder